What is the blood supply of the cervical esophagus ?
1. Inferior thyroid artery
2. Superior thyroid artery
3. Bronchial artery
4. External carotid artery

Correct answer: 1. Inferior thyroid artery

Explanation: Bronchial arteries supply the thoracic part of esophagus. Inferior thyroid artery provides primary arterial flow to the cervical esophagus, and subclavian artery, main carotid artery, vertebral arteries, ascendant pharyngeal artery, superficial cervical artery, and costocervical trunk are other arterial blood flow providers to cervical esophagus Reference: Clinical anatomy for students a problem-solving approach, Neeat v Kulkarni, 2nd edition, page no.288